The type of receptors present on T cells are -
1. IgG
2. IgD
3. CD4
4. Protaglandins

Correct answer: 3. CD4

Explanation: T helper cells (TH cells) assist other white blood cells in immunologic processes, including maturation of B cells into plasma cells and memory B cells, and activation of cytotoxic T cells and macrophages. These cells are also known as CD4+ T cells because they express the CD4 glycoprotein on their surfaces. Reff: Ananthanarayanan & Panikers textbook of microbiology 9th edition pg: 133